Autoregulation is seen in:
1. Kidney
2. Brain
3. Muscles
4. All of the above

Correct answer: 4. All of the above

Explanation: Ans. D: All of the aboveThe capacity of tissues to regulate their own blood flow is referred to as autoregulation. Most vascular beds have an intrinsic capacity to compensate for moderate changes in perfusion pressure by changes in vascular resistance, so that blood flow remains relatively constant. This capacity is well developed in the kidneys, but it has also been observed in the mesentery, skeletal muscle, brain, liver, and myocardium.It is probably due in part to the intrinsic contractile response of smooth muscle to stretch (myogenic theory of autoregulation)Vasodilator substances tend to accumulate in active tissues, and these "metabolites" also contribute to autoregulation (metabolic theory of autoregulation).